Rapid X descent unlikely in
1. Constrictive pericarditis
2. Cardiac tamponade
3. RVMI
4. Restrictive cardiomyopathy

Correct answer: 3. RVMI

Explanation: Answer is C (RVMI) Rapid 'x' descent is rare in RVMI Feature Tamponade Constrictive Pericaditis Restrictive Cardiomyopathy RVMI Prominent x descent Present Usually present Present Rare Prominent y descent Absent Usually present Rare Rare